Elek's gel precipitation test is seen in ?
1. Clostridium
2. Corynebacterium
3. Bacteroides
4. Campylobacter

Correct answer: 2. Corynebacterium